Vitamin A vaccine should be stored in:-
1. +2' C to +8' C
2. -15' C to -25' C
3. Outside cold chain
4. In ILR

Correct answer: 3. Outside cold chain

Explanation: Vitamin A should be stored outside the cold chain at room temperature. Vit A should be started at 9months of age & given for every 6months till the child reaches 5yrs of age. Total 9 doses of Vit-A is given.